A 30 yr old male presents to the OPD with Erectile dysfunction. Basic screening evaluation is unremarkable. The next step in the evaluation/management should be
1. Oral sildenafil citrate trial
2. Cavernosonometry
3. Doppler study
4. Neurological testing

Correct answer: 1. Oral sildenafil citrate trial

Explanation: Sildenafil citrate has been used for the treatment of erectile dysfunction. It is a competitive and selective inhibitor of cGMP (cyclic guanosine monophosphate)-specific PDE-5 (phosphodiesterase type 5). It prevents the rate of breakdown of cGMP causing enhanced relaxationof cavernosal smooth muscle, increase in arterial flow into corpus cavernosa, compression of subtunical veins, and hence penile erection. Other similar drugs include tadalafil and vardenafil. Ref: A Short Textbook of Psychiatry, Niraj Ahuja, 7th Edition, pg. no. 132